Capitonnage is used in treatment of
1. Choledochal cyst
2. Dermoid cyst
3. Hydatid cyst
4. Renal cyst

Correct answer: 3. Hydatid cyst

Explanation: Methods of management of the residual cavity after cyst evacuation External tube drainage Capsulorrhaphy Capitonnage Myoplasty Omentoplasty Internal collapse Introflexion Marsupialization Introflexion plus omentoplasty Cysto jejunostomy or cysto gastrostomy Ref: Blumgart 5th edition Pg no : 1045